Which of the following cause dysentery-a) Giardiasisb) Entaemoeba histolyticac) Balantidium colid) Cyclosporiasis
1. ac
2. bc
3. c
4. d

Correct answer: 2. bc